After mastectomy, patient is NOT able to extend, adduct and internally rotate the arm. Nerve supply to which of the following muscles is damaged:-
1. Pectoralis major
2. Teres minor
3. Latissimus dorsi
4. Long head of Triceps

Correct answer: 3. Latissimus dorsi

Explanation: Mastectomy may damage thoracodorsal nerve leading to paralysis of latissimus dorsi. The patient finds difficulty in - shoulder extension medial rotation adduction.